WHO surveillance is done for all expect
1. Polio
2. Viral Encephalitis
3. Malaria
4. Relapsing fever

Correct answer: 2. Viral Encephalitis

Explanation: Diseases under WHO surveillance Polio Rabies Relapsing fever Influenza Salmonella Malaria Louse born typhus